The interstitial lung disease (ILD) showing granulomas on lung biopsy is -
1. Usual interstitial pneumonitis
2. Sarcoidosis
3. Diffuse alveolar damage
4. Desquamative interstitial pneumonia

Correct answer: 2. Sarcoidosis